which of the following is a dependent personality disorder
1. self doubt
2. odd and excentric
3. attention seeking
4. punctuality, perfectionist

Correct answer: 1. self doubt

Explanation: * DEPENDENT PERSONALITY DISORDER * dependence on other people * lack of self-confidence, initiative and drive * describe themselves as depressed * Needs others to assume responsibility * self pessimism * selfdoubt * self-devaluation. Ref. Kaplon and Sadock, synopsis of psychiatry, 11 th edition, pg no.744